During laryngoscopy and endo-tracheal intubation which of the maneuver is not performed –
1. Flexion of the neck
2. Extension of Head at the atlanto-occipital joint
3. The laryngoscope is lifted upwards levering over the upper incisors
4. In a straight blade laryngoscope, the epiglottis is lifted by the tip

Correct answer: 3. The laryngoscope is lifted upwards levering over the upper incisors

Explanation: Upper incisor teeth have to be protected by a guard and the leverage of teeth should be avoided.

"Loose, filled or capped teeth, especially upper incisors, may be protected by a guard".

— Lee